Endogenous chemoattractant is:
1. C5a
2. Bacterial products
3. Lipopolysaccharide A
4. C8

Correct answer: 1. C5a

Explanation: After exiting the circulation, leukocytes move in the tissues toward the site of injury by a process called chemotaxis, which is defined as locomotion along a chemical gradient. Both exogenous and endogenous substances can act as chemoattractants. The most common exogenous agents are bacterial products, including peptides that possess an N-formyl methionine terminal amino acid and some lipids. Endogenous chemoattractants include several chemical mediators including cytokines (e.g., IL-8); Components of the complement system (particularly C5a) and arachidonic acid metabolites, mainly leukotriene B4 (LTB4).